Micky Finn is
1. Amphetamine
2. Choral hydrate
3. Phencyetindine
4. MDMA

Correct answer: 2. Choral hydrate

Explanation: Chloral hydrate is also known as micky finn. It is also known as knock out drops.